A 32 year old male patient complains of swelling in left maxillary region with heaviness in the maxillary sinus following tooth extraction of maxillary first molar. Patient gives a history of tooth extraction one week before with transalveolar type of extraction.

The most common microbial population found in a infected maxillary sinus are
1. Poly Microbial with Anaerobic Organism
2. Aerobic Organisms
3. Fungal
4. Viral

Correct answer: 1. Poly Microbial with Anaerobic Organism